All of the following glands are supplied by the facial nerve, EXCEPT?
1. Nasal glands
2. Lacrimal gland
3. Parotid gland
4. Submandibular gland

Correct answer: 3. Parotid gland

Explanation: Parotid glandreceives parasympathetic innervations from glossopharyngeal nerve and not facial nerve.